All are examples of balloon tamponades tubes used for esophageal bleeding, EXCEPT:
1. Sengstaken-Blakemore tube
2. Minnesota tube
3. Linton-Nicholas tube
4. Wilson cook

Correct answer: 4. Wilson cook

Explanation: Balloon tamponade of varices This procedure is seldom used now It was used to stabilize a patient with massive bleeding prior to definitive therapy. There are three types of tamponade balloons. 1. The Sengstaken-Blakemore tube: It has gastric and esophageal balloons, with a single aspirating port in the stomach. 2. Minnesota tube: It has gastric and esophageal balloons and has aspiration ports in the esophagus and stomach. 3. The Linton-Nicholas tube: It has a single large gastric balloon and aspiration ports in the stomach and esophagus. It has initial control of bleeding in 85% to 98% of cases. Major problems with balloon tamponades: Aspiration pneumonia Esophageal rupture Airway obstruction Ref: Sleisenger and Fordtran's, E-9, P-306